In modified class III cavity restoration retention is obtained mainly by
1. Acid etching
2. Retentive groove/slot
3. Retentive point
4. Retentive pin

Correct answer: 1. Acid etching